Acrodermatitis enteropathica is:-
1. Inherited disorder of excessive excretion of zinc from body
2. Inherited disorder of impaired uptake of zinc from body
3. Inherited disorder of excessive excretion of copper from body
4. Inherited disorder of impaired uptake of copper from body

Correct answer: 2. Inherited disorder of impaired uptake of zinc from body

Explanation: - Acrodermatitis enteropathica is Inherited disorder of impaired uptake of zinc from body. - Zn deficiency results in impaired glucose metabolism. B2 deficiency (ocular) Vitamin B6 deficiency Vitamin E deficiency Chromium deficiency EFA deficiency leads to Selenium deficiency Increase circumcorneal congestion Seizures (infant) Progressive external opthalmoplegia Glucose Intolerance PHRYNODERMA (Toad like skin) ENDEMIC cardiomyopathy (KESHAN'S disease)